Sawtooth rete ridges are seen in:
1. Erythroderma
2. Psoriasis
3. Dariers disease
4. Lichen planus

Correct answer: 4. Lichen planus

Explanation: Ans. d. Lichen planusHPE of Lichen PlanusHyperkeratosisHypergranulosisAcanthosisBasal cell degeneration producing Civatte bodiesMax-Joseph SpaceBand like infiltration of Lymphocytes at dermo- epidermal junction.Saw toothing of Rete - Ridges